The best indicator to determine maximum benefit to the community through preventive intervention strategies is
1. Relative risk
2. Attributable risk
3. Absolute risk
4. Odds ratio

Correct answer: 2. Attributable risk

Explanation: Attributable risk is the difference in the rate of a condition between an exposed population and an unexposed population. It is calculated in cohort studies, where individuals are assembled on exposure status and followed over a period of time.